Hepatomegaly with liver pulsation indicates:
1. TR
2. MR
3. Pulmonary hypertension
4. MS

Correct answer: 1. TR

Explanation: Answer is A (Tricuspid Regurgitation) Systolic pulsations of the liver and marked hepatomegaly are characteristic features of Tricuspid Regurgitation. `Hepatic pulsation in Tricuspid Regurgitation are caused by reversed systolic blood flow in the great veins' In about 2/3rd of patients with Tricuspid Regurgitation there is associated systolicpulsations of liver which may be considerably enlarged and tender'